Which is NOT a sexually transmitted disease:
1. Chancroid
2. Yaws
3. Granuloma Inguinale
4. LGV

Correct answer: 2. Yaws

Explanation: Ans. B i.e. Yaws Conditions and causative organism Chancroid: H. ducreyi, Herpes hominis LGV: Chylamydia trachomatis Donovaniosis: Calymmato-bacter granulomatosis Pinta: T. caratenum Yaws: T. peune